Epstein Barr virus causes all the following, except:
1. Infectious mononucleosis
2. Measles
3. Nasopharyngeal carcinoma
4. Non Hodgkin's lymphoma

Correct answer: 2. Measles